A multipara developed postpartum haemorrhage (PPH) during her 3rd child birth. The most probable cause for her PPH is:
1. Fibroid
2. Retained placenta
3. Uterine atony
4. Uterine perforation

Correct answer: 3. Uterine atony

Explanation: Causes of postpartum hemorrhage include uterine atony, obstetric lacerations, retained placental tissue, and coagulation defects. Atony is the most common cause of postpartum hemorrhage (50% of cases). Predisposing causes include, Excessive manipulation of the uterus General anesthesia (particularly with halogenated compounds) Uterine overdistension (twins or polyhydramnios) Prolonged labor Grand multiparity Uterine leiomyomas Operative delivery and intrauterine manipulation Oxytocin induction or augmentation of labor Previous hemorrhage in the third stage Uterine infection Extravasation of blood into the myometrium (Couvelaire uterus) Intrinsic myometrial dysfunction Ref: Poggi S.B. (2013). Chapter 21. Postpartum Hemorrhage & the Abnormal Puerperium. In A.H. DeCherney, L. Nathan, N. Laufer, A.S. Roman (Eds), CURRENT Diagnosis & Treatment: Obstetrics & Gynecology, 11e.